Rosenthal fibres are:
1. Intranclear inclusions
2. Intracytoplasmic inclusions
3. Present extracellularly
4. Part of cell membrane

Correct answer: 2. Intracytoplasmic inclusions

Explanation: Ans. (b) Intracytoplasmic inclusions(Ref: R 9th/pg 1253)Rosenthal fibers-*Brightly eosinophilic structures/inclusions within cytoplasm of Q astrocytic processes*Contain two heat-shock proteins (aB-crystallin and hsp27) as well as ubiquitin Q*Seen in Alexander disease, pilocytic astrocytoma Q.